Sodium nitroprusside infusion may result in:
1. Hypertension
2. Pulmonary oedema
3. Cyanide toxicity
4. Heart block

Correct answer: 3. Cyanide toxicity

Explanation: C i.e. Cyanide toxicity Sodium nitropruside has five cyanide groups within its structure and cyanide toxicityQ is a problem if it is used is high doses. Its formula is Na2[Fe(CN)5NOJX2H2O